Which of these is untrue regarding third molar eruption?
1. The tooth assumes a horizontal to mesioangular to vertical position during development
2. By the age of 24 years, 95% of third molars that will erupt have completed their eruption
3. 50% root completion of third molar root is completed by 20 years of age
4. Over-rotation from mesio-angular to distoangular position occurs during the terminal portion of root development

Correct answer: 3. 50% root completion of third molar root is completed by 20 years of age